dihydroerigotamine differs from ergotamine in the following respect
1. It is more potent oxytocic
2. it has antimetic property
3. it has high oral bioavailability
4. it is more potent alpha adrenergic blocker and less potent vasoconstrictor

Correct answer: 4. it is more potent alpha adrenergic blocker and less potent vasoconstrictor

Explanation: hydrogenation of ergot alkaloids decrease their vasoconstrictor action and increase the Alpha blocking activity Ref-KDT 6/e p168